Which of the following is supplied by two nerve -
1. Quadriceps
2. Triceps
3. Digastric
4. FDS

Correct answer: 3. Digastric

Explanation: Ans. is 'c' i.e., DiagastrieComposite muscles develop by fusion of 2 different musculature, thereby having different origins and different innervations i.e. 2 or more nerves supplying the muscle. COMPOSITE MUSCLENERVE SUPPLYDigastricAnterior belly Posterior bellyNerve to my!ohyoid(branch of mandibular) Facial nerveFlexor digitorum profundusMedial half by ulnar nerve Lateral half by anterior interosseou s branch of median nerveAdductor magnusAdductor partHamstring partObturator nerv eTibial nerveBiceps femorisLong headShort headTibial nerveCommon peroneal nervePectineusAnterior fibresPosterior fibresFemoral nerveObturator nerveBrachialisRadial nerve (Proprioceptive)Musculocutaneous (Motor)Flexor pollicis brevisSuperficial head-median nerveDeep head-Deep branch of ulnar nervePectoralis major & minorMedial and lateral pectoral nerve.o Flexor digitorum superticialis is supplied by median nerv e alone.